Sertoli cells secrete ?
1. Testosterone
2. Androgen
3. FSH
4. Inhibin

Correct answer: 4. Inhibin

Explanation: Ans. is 'd' i.e., InhibinLeydig cells have receptors for LH and secrete androgens, i.e. Testosterone, dihydrotestosterone (DHT), androstenedione, and dehydroepiandrosterone (DHEA).Sertoli cells have receptors for FSH and secrete ABP, inhibin and MIS. sertoli cells also have receptor for testosterone.